The normal ratio of CD4to CD8 is
1. 1:01
2. 2:01
3. 8:01
4. 10:01

Correct answer: 2. 2:01

Explanation: Ref Robbins 9/e p190-191 A normal CD4/CD8 ratio is 2.0, with CD4lymphocytes equal to or greater than 400/mm3 and CD8 lymphocytes equal to 200 to 800/mm3. If your ratio is higher than 2, it means your immune system is strong and you may not have HIV. If your ratio is less than 1, you may have: HIV.